Discoloration after death is first seen in -
1. Dependent parts
2. Scalp
3. Face
4. Arms

Correct answer: 1. Dependent parts

Explanation: Ans. is 'a' i.e., Dependent parts It is seen on dependent parts of the body, therefore site depends upon position of body after death :In supine : On posterior dependent portion of body. But not seen on back of shoulder blades, buttocks and back of calves due to contact flattening, i.e.toneless capillaries are compressed and occluded by weight and pressure of body.In hanging : Dependent lower half of both lower limb and upper limb (i.e. lower half of leg with feet and lower half of forearm with hands), and external genitalia.In drowning: Head and upper half of body as head being the heaviest part becomes the dependent part.It does not develop in running water due to constantly changing position of the body.